Modiolus is directed
1. Anterolateral-inferior
2. Anterolateral-superior
3. Posteromedial-inferior
4. Posteromedial-superior

Correct answer: 1. Anterolateral-inferior

Explanation: The bony cochlea resembles the shell of a common snail. It forms the anterior part of the labyrinth. It has a conical central axis known as the modiolus around which the cochlear canal makes two and three quarter turns. The modiolus is directed forwards ( anteriorly ) and laterally.